Two variables can be plotted together in ?
1. Pie chart
2. Histogram
3. Frequency polygon
4. Scatter diagram

Correct answer: 4. Scatter diagram

Explanation: Ans. is 'd' i.e., Scatter diagram